Lymphnode metastasis is a common feature with the following variant of soft tissue sarcoma:
1. Fibrosarcoma
2. Angiosarcoma
3. Liposarcoma
4. Neurofibrosarcoma

Correct answer: 2. Angiosarcoma

Explanation: Ans is 'b' i.e., Angiosarcoma